Depolarization is due to
1. Influx of sodium
2. Influx of potassium
3. Efflux of sodium
4. All

Correct answer: 1. Influx of sodium

Explanation: I depolarization negative internal charge becomes less negative This is due to opening of sodium gates Ref:Guyton and Hall textbook of medical physiology 12th edition,page number:66,67